Dercum's disease is commonest in the ?
1. Face
2. Arm
3. Back
4. Thigh

Correct answer: 3. Back

Explanation: Ans. is 'c' i.e., Back Dercum's disease or adiposis dolorosa is a condition in which multiple lipomatous swellings are seen particularly affecting the trunk.